All of the following statements are true about wiskott aldrich syndrome except ?
1. It is an autosomal recessive disorder
2. There is failure of aggregation of platelets in response to agonists
3. Thrombocytopenia is seen
4. Patient presents with eczema

Correct answer: 1. It is an autosomal recessive disorder